A 40 year old male presents with a painless cystic liver enlargement of four years duration without fever or jaundice. The most likely diagnosis is ?
1. Amoebic liver abscess
2. Hepatoma
3. Hydatid cyst of liver
4. Choledochal cyst

Correct answer: 3. Hydatid cyst of liver

Explanation: Ans. is 'c' i.e., Hydatid cyst of liver